Which of the following is the earliest symptom of acoustic neuroma?
1. Deafness
2. Tinnitus
3. Vertigo
4. Facial weakness

Correct answer: 1. Deafness

Explanation: The earliest symptom of many patients with acoustic neuroma is mild unilateral sensorineural hearing loss. Tinnitus is common, vertigo may or may not be present. Acoustic neuromas arise predominantly from the superior half of the vestibular portion of the vestibulocochlear nerve. Very large tumors may cause brain stem compression and obstructive hydrocephalus.